During a routine screening mammography, a 62-year-old teacher is informed that she has changes on her mammography, and she should consult her physician. She can be reassured that the findings that indicate a benign condition are which of the following?
1. Discrete, stellate mass
2. Fine, clustered calcifications
3. Coarse calcifications
4. Solid, clearly defined mass with irregular edges

Correct answer: 3. Coarse calcifications

Explanation: Coarse calicfications are usually benign. Fine, clustered califications are often milignant and require biopsy. Solid tumors of the breast, especially those that have increased in size or have changed in appearance, are suspicious for carcinoma and require biopsy.